Type of graft, best suited for renal transplantation -
1. Allograft
2. Autograft
3. Xenograft
4. Isograft

Correct answer: 4. Isograft

Explanation: Although the best graft is-autograft, a renal graft can obviously not be an autograft.
So the best renal graft is an isograft.